Which of the following most significantly increases the risk of HCC
1. HBV
2. HAV
3. CMV
4. EBV

Correct answer: 1. HBV

Explanation: Risk factors for HCC Chronic infection with HBV and HCV ( 100 fold increase in risk in individuals with HBV infection) Post necrotic cirrhosis Alcoholic cirrhosis Primary biliary cirrhosis Ref : Sabiston 20th edition Pgno :1458